Least energy producing cycle -
1. Glycolysis
2. Kreb's cycle
3. HMP shunt
4. Fatty acid oxidation

Correct answer: 3. HMP shunt

Explanation: Ans. is 'c' i.e., HMP shunt o HMP shunt does not produce energyo HMP shunt is particularly important for two purposesi) Synthesis of ribose for nucleotide and nucleic acid formation.ii) Formation of NADPH which plays important role in several other biological processes, e.g. synthesis of fatty acids, cholesterol, steroid hormones and neurotransmitters.